Which of the following is not included in the modified bishop score?
1. Cervical dilation
2. Length of cervix
3. Station of the head
4. Colour of the amniotic fluid

Correct answer: 4. Colour of the amniotic fluid

Explanation: Modified bishop score also takes into account consistency of the cervix and position of the cervix. Ref: Oxford Handbook of Clinical Specialities, 8th Edition, Page 62.